All are true about hormone functions except -
1. Thyroid hormones regulate metabolism
2. ADH regulates blood osmolality
3. Insulin regulates blood glucose
4. Cortisol regulates plasma volume

Correct answer: 4. Cortisol regulates plasma volume

Explanation: Ans.is 'd' Le., Cortisol regulates plasma volume Maior hormonal contributors to homeostasisHormoneSourceActionThyroid hormoneThyroidControls basal metabolism in most tissues.CortisolAdrenal cortexEnergy metabolism: permissive action for other hormones.MineralocorticoidsAdrenal cortexRegulate plasma volume via effects on serum electrolytes.VasopressinPosterior pituitaryRegulates plasma osmolality via effects of water excretion.Parathyroid hormoneParathyroidsRegulates calcium and phosphorus levels.InsulinPancreasRegulates plasma glucose concentration.